Which tumor arises from organ of Zuckerkandl?
1. Paraganglioma
2. Schwannoma
3. Astrocytoma
4. Medulloblastoma

Correct answer: 1. Paraganglioma

Explanation: Ans. is 'a' i.e., Paraganglioma * The organ of Zuckerkandl is a chromaffin body derived from neural crest located at the bifurcation of the aorta or at the origin of the inferior mesenteric artery. It can be the source of paraganglioma.